Grade 111 malnuition according to 1AP is -
1. 50%
2. 51-60%
3. 61-80%
4. 81-100%

Correct answer: 2. 51-60%

Explanation: Ans. is 'b' i.e., 51-60% o Indian academy of pediatrics (IAP) classification of malnutrition is based on weight for age. o lAP designates a weight of more than 80% of expectedfOr age as normal. o Grades of malnutrition are - Grade I -> 71-80% Grade HI - 51-61% Grade II --> 61-70% Grade IV - 550%